The ideal replacement for the oesophagus after oesophagus after esophagectomy is
1. Stomach
2. Jejunum
3. Colon
4. Synthetic stent

Correct answer: 1. Stomach

Explanation: .Only 20% of oesophageal cancers present early and becomes curable. In such early growths confirmed with an absence of nodal spread, curative surgery is the main approach - radical oesophagectomy. Proximal extent of resection should be 10 cm above a macroscopic tumour and distal extent of resection is 5 cm from the macroscopic distal end of a tumour. Proximal stomach has to be removed commonly especially in lower 1/3 a tumour. Sufficient removal of contiguous structures may be needed in the curative resection. Orringer approach, i.e. Trans hiatal blind total oesophagectomy with anastomosis in the left side of the neck. Through laparotomy, stomach and lower part of the oesophagus are mobilised. Through left-sided neck approach, the upper part of the oesophagus is mobilised using a finger. Ref: SRB's manual of surgery,3 rd ed, pg no 740